Emergency treatment of acetabular are all except:
1. Recurrent dislocations despite fixation with traction
2. Open acetabular fracture
3. Progressive aciatic nerve involvement
4. Morel-Lavallee lesion

Correct answer: 4. Morel-Lavallee lesion

Explanation: D. i.e. Morel - Lavalle lesion Except in the situation of an irreducible hip dislocation, progressive neurological defecit; open fractures (clean less severe wounds where surgery can be done) or vascular injuries, surgery for a fracture of acetabulum is not an emergencyQ. Morel - Lavalle lesion is a localized area of subcutaneous fat necrosis over the lateral aspect of hip caused by same trauma that causes the acetabular fracture. The operation through it has been a/w a higher (12%) rate of post-operative infectionQ, wound dehiscence and healing by secondary infection. The presence of a significant Morel- Lavallee lesion can be suspected by hypermobility of the skin and subcutaneous tissue in the affected area from the shear type separation of the subcutaneous tissue from the underlying fascia lata. Alternatively, some fractures can be treated through ilioinguinal approach, thus avoiding the affected areaQ. Recurrent (posterior) dislocation and sciatic nerve injury indicate injury of posterior column or posterior wall; so these are approached through (posterior) Kocher- Langenback approach.